First dentin bonding agent to receive ADA acceptance:
1. Clearfill
2. Cervident
3. Scotchbond 2
4. Sevitron

Correct answer: 3. Scotchbond 2

Explanation: Scotchbond 2 was the First dentin bonding system to receive “provisional” and “full acceptance” from the American Dental Association (ADA). It is an example of 3rd generation dentin bonding agent.
Sturdevant 7th edition page 143